A 41-year-old patient presented with chronic diarrhoea for 3 months. A d-xylose absorption test was ordered to look for -
1. Carbohydrate malabsorption due to mucosal disease
2. Carbohydrate malabsorption due to chronic pancreatitis
3. Fat malabsorption dure to mucosal disease
4. Fat malabsorption due to chronic pancreatitis

Correct answer: 1. Carbohydrate malabsorption due to mucosal disease